By using phase contrast microscope:
1. Internal structures are differentiated in living cells
2. Internal structures are differentiated in dead cells
3. Internal metabolic activities can be observed
4. External capsule formation can be observed

Correct answer: 1. Internal structures are differentiated in living cells